Primary biliary cirrhosis is positive for ?
1. PANCA
2. Anti-mitochondrial antibody
3. Anti nuclear antibody
4. Anti-microsomal antibody

Correct answer: 2. Anti-mitochondrial antibody

Explanation: Ans. is 'b' i.e., Anti mitochondrial antibodyo In primary biliary cirrhosis, serum alkaline phosphatase and cholesterol are almost always elevated. o Hyperbilirubinemia develops late and usually signifies incipient hepatic decompensation.o Almost in 90% of patients "antimitochrondrial antibodies" are present. These antibodies are against the E2 subunit of the pyruvate dehydrogenase complex, dihydrolipoamide acetyltransferase. This enzyme complex is located on the inner face of the inner mitochondrial membrane and hence is well shielded from circulating antibodies in undamaged hepatocytes.